Which of the following statistics should be adjusted for age to allow comparisons -
1. Age specific fertility rate
2. Crude mortality rate
3. Perinatal mortality rate
4. Infant mortality rate

Correct answer: 2. Crude mortality rate

Explanation: Crude Mortality Rate (Crude Death Rate) is not a correct parameter to compare death rates of two populations since each population is likely to have different age compositions. Age adjustment or Age standardization is required to compare crude death rates from two different populations.
Infant Mortality Rate; Perinatal Mortality rate; and Age Specific Fertility Rate all compare populations within a narrow/similar age range and hence these statistics do not require to be adjusted for age.